Which of the following is true for receptor action of the drug
1. An antagonist has both an intrinsic activity and affinity for receptor
2. An antagonist has the affinity but no intrinsic activity for the receptor
3. A partial antagonist has no affinity or intrinsic activity for the receptor
4. Intrinsic action and affinity are not impotant for drug action

Correct answer: 2. An antagonist has the affinity but no intrinsic activity for the receptor

Explanation: Ref-KDT 6/e p41 Intrinsic activity is a measure of the ability of a drug that is bound to the receptor to generate an activating stimulus and produce a change in cellular activity. Both agonists and antagonists can bind to a receptor.